Paranasal sinuses are lined by____ epithelium:
1. Ciliated columnar
2. Columnar
3. Cuboidal
4. Squamous

Correct answer: 1. Ciliated columnar

Explanation: The paranasal sinuses are lined by the mucus membrane which is continuous with the mucosa of the nasal cavity through the ostia. It is a ciliated columnar epithelium having goblet cells which secrete mucus.